APGAR scale in infants evaluates:
1. Heart rate
2. Respiratory efforts
3. Body colour
4. All of the above

Correct answer: 4. All of the above

Explanation: The APGAR scale evaluates infants heart rate, respiratory effort, muscle tone, body color and reflex irritability (5 health signs).
The scale is administered within first 60 seconds after birth.
A reading of 0, 1 or 2 on each of these five health signs will be given.
A total score of 7 to 10 indicates newborn's condition is good.
A total score of 3 or below signals emergency.